Grimace which APGAR score -
1. 0
2. 1
3. 2
4. 3

Correct answer: 2. 1

Explanation: Ans. is 'b' i.e., I o The Apgar score is a practical method of systematically assessing newborn infants immediately after birth to help identify those requiring resuscitation and to predict survival in the neonatal periodo The 1-min Apgar score may signal the need for immediate resuscitation, and the 5-, 1G-, 15-, and 20-min scores may indicate the probability of successfully resuscitating an infant,o The Apgar score was not designed to predict neurologic outcome.Apgar score: Evaluation of Newborn InfantsSIGN012Heart rateAbsentBelowr 100 Over 100 Respiratory effortAbsentSlow, irregularGood, cryingMuscle toneLimpSome flexion of extremitiesActive motionResponse to catheter in nostril(tested after oropharynx is clear)No responseGrimaceCough or sneezeColorBlue, paleBody pink, extremities blueCompletely pink